Ligand for peroxisome proliferation activating receptor (PPAR), a group of nuclear hormone receptors that are involved in the regulation of genes related to glucose and lipid
metabolism is
1. Repaglinide
2. Voglibose
3. Exanatide
4. Rosiglitazone

Correct answer: 4. Rosiglitazone